Coronary heart disease may manifest as all, except -
1. Angina on effort
2. Cardiomyopathies
3. Myocardial infarction
4. Sudden death

Correct answer: 2. Cardiomyopathies

Explanation: Ans. is 'b' i.e., CardiomyopathyIschemic heart disease o Ischemic heart disease (IHD) is the generic designation for a group of closely related syndromes resulting from myocardial ischemia.o There is an imbalance between the supply (perfusion) and demand of the myocardium.o In most of the cases (more than 90% of cases), myocardial ischemia is due to atherosclerotic obstruction of coronary artery.o Thus, IHD is often referred to as coronary artery disease (CAD) or coronary heart disease.o Ischemic heart diseases can be divided into ?1. Acute coronary syndrome(a) Unstable angina(b) Myocardial infarction(c) Sudden cardiac death2. Stable (classical) angina3. Prinzmetal angina